Otitis and osteomyelitis is seen in?
1. Hepatitis B vaccine
2. BCG
3. Measles vaccine
4. IPV

Correct answer: 2. BCG

Explanation: Ans. (b) BCGRef : OP Ghai 8th ed./191BCG* Although BCG vaccination often causes local reactions, serious or long-term complications are rare. Reactions that can be expected after vaccination include moderate axillary or cervical lymphadenopathy and induration and subsequent pustule formation at the injection site; these reactions can persist for as long as 3 months after vaccination.* Most serious complication of BCG vaccination is disseminated BCG infection.* The most frequent disseminated infection is BCG osteomyelitis